Thymoma associated with
1. Myasthenia gravis
2. Polycythemia
3. Ectopic ACTH
4. Polyaentis nodosa

Correct answer: 1. Myasthenia gravis

Explanation: * Thymus is abnormal in 75% patients with MG. 65% - hyperplastic, 10%- thymic tumours or thymomas Ref Harrison20th edition pg 2345